Which is not a component of TSI medium?
1. Sucrose
2. Glucose
3. Lactose
4. Maltose

Correct answer: 4. Maltose

Explanation: TSI - Triple sugar iron media contains Sucrose, Glucose & Lactose